False regarding gradenigo syndrome is
1. Retrobulbar pain
2. Otitis media
3. Facial palsy
4. Petrositis

Correct answer: 3. Facial palsy

Explanation: Gradenigo syndrome: Consists of Ear discharge(Suppurative otitis media) Diplopia(CN IV paralysis) Retro-orbital pain(CN V involvement) (Ref: Textbook of diseases of ENT, PL Dhingra, 7th edition, pg no. 508)